Contraindication of LASIK ?
1. >20 years
2. Keratoconus
3. Normal cornea
4. Myopia of - 8D

Correct answer: 2. Keratoconus

Explanation: Ans. is 'b' i.e., Keratoconus Patient selection criteria for LASIK Patients above 20 years of age Stable refraction for at least 12 months Motivated patients Myopia upto -12D Absence of corneal pathology Corneal thickness > 500 Contraindications of LASIK Monocular patient Infections eg conjunctivitis, Glaucoma Autoimmune disease Thin cornea (< 450 micron Keratoconus Poor endothelial cell count in cornea (< 1500) Dry eye Diabetic retinopathy Movement Dextroelevation Levoelevation Dextrodepression Levodepression Dextroversion Levoversion Yoke Muscles Right superior rectus Left inferior oblique Left superior rectus Right inferior oblique Right inferior rectus Left superior oblique Left inferior rectus Right superior oblique Right lateral rectus left medial rectus Left lateral rectus Right medial rectus Yoke Muscles Right superior rectus Left inferior oblique Left superior rectus Right inferior oblique Right inferior rectus Left superior oblique Left inferior rectus Right superior oblique Right lateral rectus left medial rectus Left lateral rectus Right medial rectus